Fastest acting drug on the lepra bacilli is :
1. Rifampicin
2. Dapsone
3. Kanamycin
4. Clofazimine

Correct answer: 1. Rifampicin